Most important prognostic factor for carcinoma breast?
1. HER2/Neu
2. Histology grade
3. Axillary lymph node status
4. Elston score

Correct answer: 3. Axillary lymph node status

Explanation: Ans- C Axillary lymph node status Most important prognostic factor in carcinoma breast is axillary lymph node status, whereas in metastatic breast cancer it is hormonal status(ER/PR/HER2NEU) . Importance of prognostic factors for carcinoma breast- LN Status>tumor size>grade